Most common cause of early miscarriages is
1. Natural diabetes
2. Cervical incompetence
3. Chromosomal abnormality
4. Genitourinary infections

Correct answer: 3. Chromosomal abnormality

Explanation: Ans. c (Chromosomal abnormality). (Ref. Dutta, Obstetrics, 5th ed., 211)ETIOLOGY OF SPONTANEOUS ABORTION/MISCARRIAGE1. Ova- fetal factors (60%)- operate in early abortion.# Chromosomal abnormality (commonest being autosomal trisomy, monosomy)# Gross congenital malformations.# Blighted ovum, hydropic degeneration of villi# Interference with circulation (cord twist)